Comminuted depressed fracture of the lateral tibial condyle is?
1. Pilon
2. Plafond
3. Bumper
4. Malgaigne's

Correct answer: 3. Bumper

Explanation: Bumpers fracture- A compression fracture of the lateral tibial plateau, with separation of the plateau's margin or depression of the central articular surface. Occur in a leg abruptly abducted by an automobile bumper, which strikes the lateral aspect of an extended leg and fixed foot, where the valgus stress forces the 2 bones into a close contact Pilon fracture is intra-articular fracture of distal tibia at ankle joint. Plafond fracture occurs at the end of the shin bone and involves the ankle joint. Malgaigne's fractureis disruption of ipsilateral superior and inferior pubic rami and the sacroiliac joint.